Pseudo Portal doppler signal (continuous flow) in the hepatic vein in the setting of Budd chiari syndrome indicates:
1. Partial IVC obstruction
2. Congenetal web in IVC
3. Portal vein thrombosis
4. Renal vein thrombosis

Correct answer: 1. Partial IVC obstruction

Explanation: The normal blood flow in the IVC and hepatic veins is phasic in response to both the cardiac and respiratory cycles. In Budd chiari syndrome, flow in the IVC, hepatic veins, or both changes from phasic to absent, reversed, turbulent, or continuous. Continuous flow has been called a pseudo portal Doppler signal and appears to reflect either partial IVC obstruction or extrinsic IVC compression. Ref: J Ultrasound Med 2006; 25:373-379.